The tail of pancreas related with -
1. Splenicorenal ligament
2. Gastrosplenic ligament
3. Phrenico colic ligament
4. Falciform ligament

Correct answer: 1. Splenicorenal ligament

Explanation: The tail of pancreas is related to splenorenal (linorenal) ligament.